Which nerve is responsible for referred pain in ear?
1. Trochleal
2. Olfactory
3. Glossopharyngeal
4. Abducent

Correct answer: 3. Glossopharyngeal

Explanation: Pharyngitis may cause referred pain in the ear as both are supplied by IX nerve. Ref: BD Chaurasia's HUMAN ANATOMY, Volume 3, 4th edition.